Extracranial complications of CSOM -a) Labyrinthitisb) Otitic hyrocephalusc) Bezold's abscessd) Facial nerve plasye) Lateral sinus thrombophlebitis
1. abc
2. ad
3. bc
4. acd

Correct answer: 4. acd